Following is true about alendronate except?
1. It is a second generation amino - BNP
2. It is used in prevention and treatment of osteoporosis
3. Oral bioavailability is 10%
4. Iron interferes with alendronate absorption

Correct answer: 3. Oral bioavailability is 10%

Explanation: Ans. is 'c' i.e., Oral bioavailability is 10% Alendronate Potent orally effective second generation amino - BNP. It is used primarily in the prevention and treatment of osteoporosis as well as for paget's disease. It is to be taken empty stomach with one glass of water and patient should not lie supine for half an hour to prevent esophagitis. Calcium, iron, antacids, mineral water, tea, coffee, fruit juice interfere with alendronate absorption. Oral bioavailability of alendronate is 1%. Adverse effects are: esophagitis, gastric erosion, retrosternal pain, flatulence, headache and bodyache. Terminal elimination T1/2 of alendronate has been measured as 10.5 years.